All of the following are true about paranoid schizophrena except:
1. Most common type of schizophrenia
2. Onset in 3rd / 4th decade
3. Delusions of grandeur
4. Rapid deterioration of personality.

Correct answer: 4. Rapid deterioration of personality.

Explanation: D. i.e. Rapid deterioration of personality